Renal transplantation is most commonly done in -
1. Chr. glomerulonephritis
2. Bilateral staghorn calculus
3. Horse shoe kidney
4. Oxalosis

Correct answer: 1. Chr. glomerulonephritis

Explanation: Renal transplantation is the preferred treatment for many patients with end stage renal disease (ESRD), because it provides a better quality of life for them than dialysis.


The most common causes of ESRD (in decreasing order) are:


Diabetes mellitus
Hypertension
Glomerulonephritis